Compared to hydrocortisone maximum glucocorticoid action is found in:
1. Dexamethasone
2. Prednisolone
3. Methyl prednisolone
4. Cortisone

Correct answer: 1. Dexamethasone